Which weight loss regime decreases risk of gall bladder stone
1. 2 -3 Lt water per day
2. 2 - 3 Kg wt loss / month
3. Very low calorie diet
4. High fat diet

Correct answer: 2. 2 - 3 Kg wt loss / month

Explanation: Answer- B. 2 - 3 Kg wt loss / monthRkk of gall stone formation in obese persons during active weight loss seems to increase in an exponential fasion. The data suggest that rates of weight loss should not exceed an average of 7.5 kg per week